Blood supply of bronchogenic sequestration is:
1. Aorta
2. Pulmonary artery
3. Pulmonary Vein
4. Bronchogenic artery

Correct answer: 1. Aorta

Explanation: Bronchogenic sequestration refers to a discrete area of lung tissue that lacks any connection to the airway system. It has abnormal blood supply arising from aorta.